True about retinoblastoma are all except :
1. AD
2. Most common intraocular tumor of childhood
3. Females are more affected than males
4. Bilateral involvement not rare

Correct answer: 3. Females are more affected than males

Explanation: Retinoblastoma
Incidence:  It is the most common intraocular tumor of childhood occurring 1 in 20,000 live births.
Age : though congenital, it is not recognized at birth, and is usually seen between 1 and 2 years of age.
Sex : There is no sex predisposition.
Race : it is rarer in Negroes than whites.
Bilaterality : In 25-30% cases, there is bilateral involvement, although one eye is affected more extensively and earlier than the other.